Which among the following pairs of Oncogenes is activated by Translocation?-
1. SIS & HST-1
2. HGF & L-MYC
3. TGF & CDK4
4. ABL & C-MYC

Correct answer: 4. ABL & C-MYC

Explanation: TEXT BOOK OF MEDICAL pathology HARSHMOHAN 6TH EDITION PG NO 211 ABL & C MYC is activated by translocation (table 8.4)